Example of Apoptosis is?
1. Councilman Bodies
2. Gamma Gandy Body
3. Russell bodies
4. None

Correct answer: 1. Councilman Bodies